Para meningeal Rhabdomyosarcoma is best diagnosed by :
1. CT Scan
2. MRI
3. SPECT
4. PET

Correct answer: 2. MRI

Explanation: Ans. is 'b' i.e. MRI I could not find any direct reference to this answer in all the books within my reach My answer is based on the basics of CT & MRICT is the best inv. for bone imaging. It has limitations for soft tissues, especially when the soft tissue lies with a skeletal framework.But MRI is excellent for soft tissue imaging and is more sensitive in detecting early brain damage.So for a parameningeal rhabdomyosarcoma the best investigation would be MRI as it would demonstrate very clearly its extension within the meninges.Harrison 15/e, on page 2337 states that the : Best investigation for a primary or metastatic brain tumor is - MRI Best investigation for meningeal disease - MRIThis information further supports my answer.